Stool specimen is transported in ?
1. Cary blair medium
2. Blood agar
3. Selenite F broth
4. Compy BAP medium

Correct answer: 1. Cary blair medium

Explanation: Ans. is 'a' i.e., Cary blair medium Transport media for stool specimen are :? Cary-Blair medium Buffered glycerol saline Stuart medium Inoculate media for routine stool culture are :- Blood agar MacConkey agar Hektoen enteric HE ( agar) Selective media for campylobactor : Campy BAP, skirrow Selenite F broth or GN Broth Xylose-lysine deoxycholate agar (XLD agar) For specific situations, selective media are used :- Vibrio : TCBS agar or Alkaline peptone broth. Yersinia : Cefsulodin-Irgasan-Novobiosin (CIN) agar or Phosphate Buffered Saline (PBS) broth. E.coli 0157:H7: Sarbitol-MacConkey agar.